Viral action is differentiated from bacterial action by:
1. Interferon production
2. Toxin production
3. Lymphocytes production
4. Neutrophils production

Correct answer: 1. Interferon production